After renal transplant the commonest malignancy is -
1. Lymphoma
2. Renal cell ca
3. Skin cancer
4. Adrenal cancer

Correct answer: 3. Skin cancer

Explanation: Immunosuppressed patients are more likely to develop cancer than age-matched subjects in the general population. Among several thousand tumors that occurred in renal transplant recipients before 1995, the common cancers, in order, were skin cancer, lymphoma, Kaposi's sarcoma, carcinomas of cervix, renal tumors, and carcinomas of the vulva and perineum." - Cambell's Urology